Positive zone of enamel caries is the:
1. Translucent zone
2. Dark zone
3. Body of the lesion
4. Surface zone

Correct answer: 2. Dark zone

Explanation: The dark zone
This lies adjacent and superficial to the translucent zone. It has been referred to as the ‘positive zone’ because it is usually present. This zone is formed as a result of demineralization and appears dark brown in ground sections examined by transmitted light after imbibition with quinolone.